When compared to traditional antipsychotic medication, atypical antipsychotic medication is more likely to be helpful for which of the following symptoms?
1. Hallucinations
2. Delusions
3. Agitation
4. Social withdrawal

Correct answer: 4. Social withdrawal

Explanation: Social withdrawal is a negative symptom of schizophrenia. Negative symptoms respond better to atypical antipsychotic medication than to traditional antipsychotics. Hallucinations, delusions, agitation, and over-talkativeness are positive symptoms of schizophrenia.